Which of the following agents enhances the bioavailability of levodopa -
1. Amantadine
2. Ropinirole
3. Entacapone
4. Selegiline

Correct answer: 3. Entacapone

Explanation: Ans. is 'c' i.e., Entacapone o When peripheral decarboxylation of levodopa is blocked by carbidopa/benserazide, it is mainly metabolized by COMT to 3-0-methyldopa. o Blockade of this pathway by entacaptone/tolcapone further prolongs the t 1/2 of levodopa and allows a larger fraction of administered dose to cross to brain.